Hypocalcemia is characterized by all of the following features except
1. Numbness and tingling of circumoral region
2. Hyperactivity tendon reflexes
3. Shortening of Q-T interval in ECG
4. Carpopedal spasm

Correct answer: 3. Shortening of Q-T interval in ECG

Explanation: Answer is C (Shortening of QT interval on ECG) The OT interval on ECG is prolonged in hypocalcemia and shortened in hypercaleemia. Manifestations of chronic hyoocaleemia Neuromuscular and Neurological Mental changes Miscellaneous Cardiovascular Muscle spasmsQ Irritability Respiratory arrest Arrythmias Carpopedal spasmsQ Depression Increased ICT with papilloedemaQ Prolonged QT intervalQ Facial grimacingQ Psychosis Intestinal cramps Reduced effectiveness Laryngeal spasmsQ Chronic malabsorption of digitalisQ Convulsions t2 Circumoral tingling0 Low serum calcium leads to increased excitability of peripheral nerves and hence hyperactive tendon reflexes is a distinctive finding. Chrostek's or Traussean's sign can be used to confirm Latent tetany when signs of overt tetany are lacking Chvostek's SignQ Tapping over the branches of the facial nerve as they emerge from the parotid gland produces twitching of the facial muscles. Trousseau's Signdeg Inflation of Sphygmomanometer cuff on the upper arm to more than systolic BP is followed by carpal spasm within 3 minutes